All are branches of the maxillary artery except -
1. Anterior tympanic artery
2. Posterior ethmoidal artery
3. Middle meningeal artery
4. Infraorbital artery

Correct answer: 2. Posterior ethmoidal artery